Which of the following is the management for postmenopausal women with osteoporosis:
1. Raloxifene
2. Tamoxifen
3. Bisphosphonates
4. Calcitonin

Correct answer: 3. Bisphosphonates

Explanation: DOC for osteoporosis is Bisphosphonates. It's mechanism of action is inhibition of osteoclast. Bisphosphonates are considered as first-line medication for reduction of fracture risk in post-menopausal women*. Calcitonin can also be used for osteoporosis& it acts by inhibiting osteoclast. Raloxifene and tamoxifen are selective estrogen- receptor modulators (SERMs) which is used to reduce the risk of breast cancer in high risk people and also used to prevent and treat osteoporosis in post-menopausal women. But it is less preferred than bisphosphonates.